Treatment of genuine stress incontinence:a) Anterior colporrhaphyb) Posterior colporrhaphyc) Colposuspensiond) Pelvic floor exercisee) Sling operation
1. bce
2. bde
3. acde
4. abde

Correct answer: 3. acde

Explanation: Pelvic floor exercises
Sling operation
Colposuspension (Burch) are all done for management of SUI.
As far as anterior colporrhaphy is concerned - Kelly's plication is anterior colporrhaphy along with bladder neck repair, so